Dutcher bodies are seen in?
1. Brain
2. Liver
3. Spleen
4. Bone marrow

Correct answer: 4. Bone marrow

Explanation: Ans. is 'd' i.e., Bone marrow * In multiple myeloma plasma cells can infiltrate the bone marrow diffusely or may be present in sheet like masses that completely replace normal elements.* Plasma cells may be normal plasma cells but mostly they are atypical plasma cells (variants of plasma cell) produced by intracellular accumulation of intact or partially degraded immunoglobulins. These atypical plasma cells are :i) Flame cellsii) MOTT cells* Intracellular inclusions are Russel bodies (cytoplasmic), Dutcher bodies (nuclear), crystalline rods and fibrils.* Dutcher bodies, which are attributed to immunoglobulin filled cytoplasm invaginating into the nucleus creating the appearance of an intranuclear inclusion.